All are ectodermal in origin except
1. External acoustic meatus
2. Anal canal
3. Sebaceous gland
4. Bone marrow

Correct answer: 4. Bone marrow

Explanation: Human embryology; 10th edition; Inderbier Singh; Page no 95 Derived from ectoderm Epithelium of skin, hair follicle, sweat gland, sebaceous gland, mammary glandEpithelium over cornea and conjunctiva, external acoustic meatus, outer surface of the tympanic membraneSome part of the mouth, the lower part of the anal canal, terminal part of the urethra, female external genitalia